Which of the following statements is true for Nigro's regimen?
1. It is a regimen for anal canal neoplasm
2. It incorporates chemotherapy with radiation as an alternative to surgery
3. Has the advantage of preserving continence
4. All of the above

Correct answer: 4. All of the above

Explanation: Nigro regimen is a Combined Modality Therapy (CMT) for malignant tumors of the anal canal. Nigro regimen comprises of combined chemotherapy and radiotherapy (chemoradiation) for primary treatment of malignant tumors of the anal canal. Ref: Bailey and Love's Short Practice of Surgery, 25th Edition, Page 1269; Clinical Scenarios In Surgical Oncology By Vijay P. Khatri, Page 167